Dohle like inclusions in neutrophils along with giant platelets is characteristic of:
1. Bernard Soulier syndrome
2. Chediak Higashi syndrome
3. May Hegglin anomaly
4. Pelger Huet anomaly

Correct answer: 3. May Hegglin anomaly

Explanation: May-Hegglin anomaly (MHA) Autosomal dominant disorder Thrombocytopenia associated with purpura and bleeding Giant platelets containing few granules Large, well-defined, basophilic, cytoplasmic inclusion bodies in granulocytes that resemble Dohle bodies. Dohle bodies are single or multiple blue cytoplasmic inclusions that are remnants of rough endoplasmic reticulum.